22q11 deletion leading to Di George syndrome is associated with:-
1. Hypokalemia
2. Hyperkalemia
3. Hypocalcemia
4. Hypercalcemia

Correct answer: 3. Hypocalcemia

Explanation: DIGEORGE SYNDROME/ VELO CARDIO FACIAL SYNDROME: C- Cardiac defects A- Abnormal facies T- Thymic hypoplasia C- Cleft palate H- Hypocalcemia (d/t hypothyroidism) 22- 22q deletion